A veterinary doctor had fever for 15 days. His blood culture in special laboratory media was positive for Gram-negative short bacilli which was oxidase positive. Which one of the following is the likely organism grown in culture?
1. Pasteurella spp.
2. Francisella spp.
3. Bartonella spp.
4. Brucella spp.

Correct answer: 4. Brucella spp.

Explanation: • Pastuerella sp-Gram —ve bacilli oxidase +ve causes cellulitis but no fever
• Francicella sp-Gram —ve short bacillis, oxidase +ve, causes
• Tularemia arthrosis but no PUD
• Bartonella — Gram —ve red, oxidase +ve
• Brucella, Gram —ve, short bacillis causes PUO